Characteristic X-ray finding in ASD is
1. Enlarged left atria
2. Enlarged left ventricle
3. PAH
4. Pulmonary plethora

Correct answer: 4. Pulmonary plethora

Explanation: * Description:can be normal in early stages when the ASD is small * signs of increased pulmonary flow (pulmonary plethora or shunt vascularity) o enlarged pulmonary vessels o upper zone vascular prominence o vessels visible to the periphery of the film o eventual signs of pulmonary arterial hypertension * chamber enlargement o right atrium o right ventricle o note: left atrium is normal in size unlike VSD or PDA o note: aortic arch is small to normal